'Lacunar cells' are peculiarly seen in which variety of Hodgkin's lymphoma?
1. Nodular Sclerosis
2. Mixed cellularity
3. Lymphocyte Predominant
4. Lymphocyte Depleted

Correct answer: 1. Nodular Sclerosis

Explanation: Ans. A. Nodular Sclerosis. (Ref Robbings Pathology 8th/pg. page 456)SUBTYPES OF HODGKIN'SFEATURESNodular sclerosis (65-75%)- Common in females ; Excellent prognosis- Most common worldwide- Lacunar cells common- Diagnostic RS cells- Fibrous collagen- Bands dividing cellular areas into nodules- RS cells CD15+, CD30+Mixed cellularity (25%)- Plenty of classic RS cells and mononuclear variants- CD15+ CD30+ RS cells.- Most common in India.Lymphocyte predominance (6%)- Lymphohistiocytic variants- Popcorn cells - Polypoid RS cells- RS cells- CD20+- CD CD30-Lymphocyte depletion (3-5%)- Worst prognosis- Rare- CD15+, CD30+- Reticular variants- Controversial entity